Omeprazole is a
1. Antihistamine
2. Proton pump inhibitor
3. Ulcer protective
4. Ulcer healing drug

Correct answer: 2. Proton pump inhibitor